Which of the following is a feature of nonselective Cox inhibitor but not of selective Cox 2 inhibitor?
1. Analgesic effect
2. Antiplatelet aggregatory
3. Renal salt/ water retention
4. Prolongation of labour

Correct answer: 2. Antiplatelet aggregatory

Explanation: Ans. is'b'i.e., Antiplatelet aggregatory(Ref: KDT 7th /e p. 194)